Which of the following drug is not active against Hepatitis B?
1. Interferon
2. Telbivudine
3. Zidovudine
4. Lamivudine

Correct answer: 3. Zidovudine

Explanation: Ans. c. Zidovudine